Which of the following is associated with special somatic afferent nuclei:
1. Cranial nerve V
2. Cranial nerve VI
3. Cranial nerve VII
4. Cranial nerve VIII

Correct answer: 4. Cranial nerve VIII

Explanation: Special somatic afferent nuclei are:The cochlear nuclei (dorsal and ventral) that receive impulses of hearing through the cochlear nerveThe vestibular nuclei (superior, inferior, medial and lateral) that receive fibres from the semicircular canals, the utricle and the saccule through the vestibular nerves